"Biphasic pattern" on histology is seen in Which tumor
1. Rhabdomyosarcoma
2. Synovial cell sarcoma
3. Osteosarcoma
4. Neurofibroma

Correct answer: 2. Synovial cell sarcoma

Explanation: Biphasic pattern of synovial sarcoma consists of an admixture of glandular structures lined by cuboidal or columnar epithelium set in a sarcomatous stroma. some occult cases clusters of plump cells with pale cytoplasm are present in a spindle cell stroma.These nests of cells are accentuated by reticulin stain.Monophasic pattern of synovial sarcoma is characterized by monomorphic population of spindle shaped cells arranged in fascicles. he cells contain uniform tapering nuclei and pale cytoplasm. Mitotic figures are present in variable numbers. Other striking features include: - Presence of mast cells - Calcification with or without ossification. Calcification is usually preceded by hyalinization.